New drug for increasing sensitivity of cells to insulin?
1. Glibenclemide
2. Venalafaxine
3. Pioglitazone
4. Glipizide

Correct answer: 3. Pioglitazone

Explanation: Ans. is 'c' i.e., Pioglitazone Thiazolidinediones (Pioglitazone, Rosiglitazone) has insulin sensitizing action.